lntra epidermal IgG deposition is seen in:
1. Pemphigus
2. Bullous pemphigoid
3. Herpes genitalis
4. Dermatitis herpetiformis

Correct answer: 1. Pemphigus

Explanation: Ans: A (Pemphigus) Ref: Rook, 7th ed. pg. 414, Table 41.3, 41.6 Pemphigus is an immune bullous disorder, characterized by IgG deposition in intercellular area of epidermis. Herpes genitalis is also characterized by intra epidermal blisters, but it is not an immunobullous disorder and not associated with any immune complex deposition. Other two are subepidermal blistering disorders. Examples of intra epidermal blistering disorders Pemphigus vulgaris P. foliaceous P. vegetans paraneoplastic pemphigus Fish net appearance - intercellular IgG deposition on surface of keratinocytes in Pemphigus Bullous pemphigoid- linear IgG and C3 deposition along the basement membrane. Dermatitis herpetiformis - granular deposits of IgA in dermal papillae and papillary tip microabscesses.